Steam at 100 degrees centigrade for 20min on 3 consecutive days is called as
1. Boiling
2. Tyndallization
3. Inspissation
4. Pasteurization

Correct answer: 2. Tyndallization

Explanation: Boiling,tyndallization and steam sterilizer are eg for temperature of 100 degree in moist heat sterilization Above 100 degree-autoclave Below 100 degrees- pasteurization, vaccine bath, inspissation Ref: CP Baveja 4th ed Pg:31